Serum marker after Hepatitis B vaccination ?
1. Anti-HBsAg
2. Anti-HBeAg
3. Anti-HBcAg
4. HBsAg

Correct answer: 1. Anti-HBsAg

Explanation: Ans. is 'a' i.e., Anti-HBsAg